What would be the race of an individual if his skull bone is having features such as rounded nasal opening, horseshoe shaped palate, round orbit and cephalic index above 80?
1. Negro
2. Aryans
3. Mongols
4. European

Correct answer: 3. Mongols

Explanation: Skull bones of mongolians are square shaped, orbits, nasal aperture and palate are rounded, upper and lower limbs are smaller, and cephalic index is above 80. The differences in the skull in the different races are as follows: Blacks Europeans Mongols Orbits Square Triangular Rounded Nasal opening Broad Narrow and elongated Rounded Palate Rectangular Triangular Rounded or horseshoe shaped Ref: Parikh's Textbook of Medical Jurisprudence, Forensic Medicine and Toxicology, 6th Edition, 2.26-7 ; Essentials of Forensic Medicine and Toxicology By Dr K S Narayan Reddy, 27th Edition, Page 53